Conscious sedation is -
1. CNS depression with uncociousness
2. Sedation with inability to respond to command
3. Sedation with ability to respond to command
4. Any of the above

Correct answer: 3. Sedation with ability to respond to command

Explanation: Ans. is 'c' i.e., Sedation with ability to respond to command o Conscious sedation is a technique in which drugs are used to produce a state of CNS depression (but not unconsciousness), enabling surgical procedure to be carried out while maintaining communication with the patient who is able to respond purposefully to commands and maintain a patent airway throughout.o The protective airway reflexes are not lost, therefore conscious sedation is safer.o However, by itself, it is not able to suppress pain of dental procedures; local anaesthetic must be injected in addition,o Drugs used for conscious sedation are -n2ODiazepam or midazolamPropofol1M promethazineIVfentanyl